A 15-year-old boy presented with one day history of bleeding gum, subconjunctival bleed and purpuric rash. Investigations revealed following results: Hb- 6.4 gm/dL; TLC-1,00,000/microlitre, platelet 35,000/cubic millimetre; prothrombin time-20 sec with a control of 13 sec; partial thromboplastin time-50sec; and Fibrinogen lOmg/dL. Peripheral smear was suggestive of acute myeloblastic leukemia. Which of the following is the most likely?
1. myeloblastic leukemia without maturation
2. Myeloblastic leukemia with maturation
3. Promyelocytic leukema
4. Myelomonocytic leukemia

Correct answer: 3. Promyelocytic leukema

Explanation: Acute promyelocytix leukemia is associated with serious coagulation abnormality ,disseminated intravascular coagulation. The platelet count is moderately to severly reduced( below 50,000/microlitre).Bleeding tendencies manifest as spontaneous bruising ,petechiae,bleeding from gums, & other bleeding tendencies . Reference:Harsh mohan textbook of pathology sixth edition pg no 363.